Most common type of salivary neoplasm -
1. Adenoid cystic carcinoma
2. Mixed cell parotid neoplasm
3. Epidermoid carcinoma
4. Adenocarcinoma

Correct answer: 2. Mixed cell parotid neoplasm

Explanation: Most common salivary gland tumor → Pleomorphic adenoma (mixed tumor).
Most Common benign Salivary gland tumor → Pleomorphic adenoma (mixed tumor).
Most Common malignant tumor of salivary gland → Mucoepidermoid Carcinoma
Most Common site of pleomorphic adenoma → Parotid gland.
Most Common site of mucoepidermoid Carcinoma → Parotid gland.
Most Common site for acinic cell carcinoma → Parotid gland.
Most Common site for adenoid cystic Carcinoma → Minor salivary glands.
Multifocal and bilateral Salivary gland tumor → Warthin tumor and acinic cell tumor.
Salivary gland tumor with tendency to invade perineural space → Adenoid cystic carcinoma.